Treatment of choice in placenta accreta :
1. Manual removal
2. Hysterotomy
3. Hysterectomy
4. Wait and watch

Correct answer: 3. Hysterectomy

Explanation: Hysterectomy